The maintenance of posture in a normal adult | human being depends upon
1. Integrity of reflex arc
2. Muscle power
3. Type of muscle fibers
4. Joint movements in physiological range

Correct answer: 1. Integrity of reflex arc

Explanation: the connection between the afferent and efferent neurons is usually in the cns and activity in the reflex arc is modified by the multiple inputs converging on the efferent neurons or at any synaptic station within the reflex loop. Therefore integrity of reflex arc is necessary for maintenance of posture. Ref: Ganong's review of medical physiology;23rd edition; pg:157.